Killians incision is used for
1. Submucous resection of nasal septum
2. Mastoid antral lavage
3. Mandibulectomy
4. Parotidectomy

Correct answer: 1. Submucous resection of nasal septum

Explanation: Ans. is 'a' i.e., Submucous resection of nasal septum Killians incision* It is used for submucous resection (SMR) of the nasal septum.* It is used to address the septal deviations posterior to the nasal septum.* It is made usually along the convex side of the deviation from superiorly along the mucocutaneous junction of the nasal septum to the nasal floor and can be modified to extend laterally along the floor of the nose, so that tunneling under the submucoperichondrial flap can proceed without tearing the mucosa.* One should be mindful that the tearing of the submucoperichondrial flaps on the apposing sides can result in septal perforations which are especially symptomatic at the anterior inferior aspect of nasal septum.